The following disease require isolation to break transmission except -
1. Measles
2. Mumps
3. Chicken pox
4. Tetanus

Correct answer: 4. Tetanus

Explanation: Tetanus infections are acquired almost always by contamination of wounds with tetanus spores, usually found in soil and dust. Ref: 25th edition, Park's Textbook of Preventive and Social Medicine, Page no. 339